Structures lying within the spermatic cord include all except:
1. Direct hernia sac
2. Indirect hernia sac
3. Properitoneal fat
4. Vas deferens

Correct answer: 1. Direct hernia sac

Explanation: A direct hernia protrudes through the medial inguinal canal floor behind the spermatic cord. A femoral hernia also protrudes through a medial inguinal canal floor defect and passes beneath the inguinal ligament into the thigh. An indirect hernia sac passes through the internal inguinal ring within the structures of the cord and ,in male patients , may extend all the way into the scrotum. A mass of properitoneal fat frequently extends through the internal ring aloll;g with the indirect sac. This mass is frequently referred to as a lipoma of the cord, but the term is incorrect since it is not a tumor. The vas deferens carries sperm from the testicle to join the urethra.